True about Trichobazoers Except
1. It is caused by Trichuris
2. It is a psychlatric manifestation
3. Balls of hairs in the stomach
4. Pulling the hair & sucking of hair is usually seen

Correct answer: 1. It is caused by Trichuris

Explanation: It is a hairball commonly seen in the stomach of females with psychiatric illness who swallow hair regularly. Reference SRB 5th edition page no:840.